Epidemiological triad does not includes
1. Agent
2. Host
3. Environment
4. Time

Correct answer: 4. Time